Large ventricular septal defect in a child leads to all of the following EXCEPT?
1. Infective endocarditis
2. Eisenmenger syndrome
3. Heart failure
4. Cyanotic spell

Correct answer: 4. Cyanotic spell

Explanation: Complications of large VSD: Cardiac failure - MC; occurs in early infancy Infective endocarditis - occurs at any age Pulmonary hypertension (Eisenmenger syndrome). Note:- Cyanotic spell is usually a feature of TOF